Epimer combination(s) is/are
1. D-glucose & D-fructose
2. D-glucose & D-talose
3. D-glucose & D-mannose
4. D-glucose & D-idose

Correct answer: 3. D-glucose & D-mannose

Explanation: Repeated question